Exocytic release of ACH is blocked by ?
1. Hemicholium
2. Botulinum
3. Alpha bungarotoxind
4. Vesamicol

Correct answer: 2. Botulinum

Explanation: Ans. is 'b' i.e., Botulinum ACETYLCHOLINE SYNTHESIS AND RELEASE Choline is actively taken up by the axonal membrane by Na+; choline cotransporter. (Rate limiting step). This step is blocked by Hemicholinium. Choline is acetylated with the help of ATP and coenzyme 'A' by the enzyme choline acetyl transferase present in the axoplasm.